Storage temperature for vaccine is: A
1. --4degC to 0degC
2. 0degC to 4degC
3. +2degC to 8degC
4. +4degC to 12degC

Correct answer: 3. +2degC to 8degC

Explanation: +2degC to 8degC